Ulcerative colitis involves
1. Serosa
2. Lamina propria
3. Mucosa
4. Circularis muscle

Correct answer: 3. Mucosa

Explanation: Answer 'c' i.e. Mucosa Ulcerative colitis involves mucosa and superficial submucosa with deeper layers unaffected except in fulminant disease.